Which of the following anti-diabetic drugs are associated with weight gain?
1. Acarbose
2. Metformin
3. Sitagliptin
4. Pioglitazone

Correct answer: 4. Pioglitazone

Explanation: Pioglitezone Only one thiazolidinedione, pioglitazone is currently available in india C/I in liver and heart failure Selective agonist for PPAR ? ( peroxisome proliferator activated receptor ?) Lower serum triglyceride level ,raises HDL level Reverse insulin resistance